TOF not associated with -
1. ASD
2. VSD
3. RVH
4. PS

Correct answer: 1. ASD

Explanation: Ans. is 'a' i.e., ASD Tetralogy of falloto Cyanotic heart disease (MC)o Defect in infundibular septum leads to :o Pulmonary stenosiso VSD (Not ASD)o Dextroposition and overriding of aorta.o Right ventticular hypertrophy (NOT LVH).o Pink TOF (Acyanotic TGF) when PS is mild to moderate balanced shunt tnt across the VSD, pt not have cyanosis.